For operative vaginal delivery, what is the level of sensory block needed to cover pain?
1. T10-L1
2. T10-S1
3. L1-S1
4. S2-S4

Correct answer: 4. S2-S4

Explanation: Vaginal delivery :The first stage of labor requires a sensory block to the level of the umbilicus . During the second stage of labor and for operative vaginal delivery, a sensory block of S2 through S4 is usually adequate to cover pain from perineal stretching and/or instrumentation. (Ref: William's Obstetrics; 25th edition)